Osgood schlatters disease involves?
1. Tibial tuberosity
2. Femoral condyle
3. Lateral malleolus
4. Medial malleolus

Correct answer: 1. Tibial tuberosity

Explanation: Ans. (a) Tibial tuberosityRef.-.Apley's system of orthopaedics and fractures edited by Louis Solomon, dividwarwicky selvadurainayagam 9/e, p 575-576y 887)